Pernicious anemia associated with -
1. Gastric pathology
2. Renal pathology
3. Esophageal pathology
4. Oral pathology

Correct answer: 1. Gastric pathology

Explanation: Ans. is 'a' i.e., Gastric Pathology Anemias of Vitamin B12 Deficiency: Pernicious Anemiao Pernicious anemia is a specific form of megaloblastic anemia caused bv an autoimmune gastritis that impairs the production of intrinsic factor, which is required for vitamin B12 uptake from the g ut.o Histologically, there is a chronic atrophic gastriti smarked by loss of parietal cells, prominent infiltrate of lymphocytes and plasma cells, and megaloblastic changes in mucosal cells.